Passavant ridge is formed by:
1. Tensor veli palati and superior constrictor
2. Palatopharyngeus and superior constrictor
3. Palatopharyngeus and inferior constrictor
4. Palatoglossus and superior constrictor

Correct answer: 2. Palatopharyngeus and superior constrictor

Explanation: Some fibres of the palatopharyngeus muscle (arising from palatine aponeurosis) sweep horizontally backwards and join the upper fibres of the superior constrictor muscle to form a U-shaped muscle-loop in the posterior pharyngeal wall underneath the mucosa, which is pulled forward during swallowing to form the Passavant ridge.